Which of the following testicular tumor is not a germ cell neoplasm -
1. Seminoma
2. Yolk sac tumor
3. Sertoli cell tumor
4. Teratoma

Correct answer: 3. Sertoli cell tumor

Explanation: Testicular tumor

Testicular tumors are divided into two major categories : -

Germ cell tumors : 
Seminoma        
Embryonal carcinoma 
Yolk sac (endodermal sinus) tumor
Spermatocytic seminoma   
Choriocarcinoma
Teratoma
Sex cord tumors :
Leydig cells tumor
Sertoli cell tumor

Approximately 95% of testicular tumors are germ cell tumors.